Nysten's rule is for the order of
1. Rigor mortis
2. Post Mortem staining
3. Algor Mortis
4. Cadaveric spasm

Correct answer: 1. Rigor mortis

Explanation: Nysten's law: Nysten's law deals with the progression of rigor mortis It first affects the involuntary muscles starting with the myocardium The order of appearance in voluntary muscles is: Upper eyelids, Neck muscles, Jaw, Facial muscles, Chest Upper limbs, Abdomen Lower limbs Finger and toes. Order of disappearance is also the same. Rigor mortis follows the "rule of 12"- 12 hrs to set in, remains for 12 hrs, and passes off in 12 hrs.